HLA gene is located in chromosome
1. 1P
2. 1q
3. 6P
4. 6q

Correct answer: 3. 6P

Explanation: HLA is located in short arm of chromosome-6.